True about sphenoid sinus:
1. Lined by stratified squamous epithelium
2. Duct open in middle meatus
3. Open in sphenoethmoid recess
4. Present at birth

Correct answer: 3. Open in sphenoethmoid recess

Explanation: Ans: C (Open in sphenoethmoid recess) The paranasal air sinuses are lined with respiratory epithelium {ciliated pseudostratified columnar epithelium)"- www.american- rbinologic. orgypatientLnfo.sinusnasalanatomyphtrnlAnatomy of PNS EL Dhingra 5th/201Anterior group: This includes maxillary, frontal and anterior ethmoidal. They all open in the middle meatus/ and their ostia lie anterior to basal lamella of middle turbinate.Posterior groups: This includes posterior ethmoidal sinuses which open in the superior meatus, and the sphenoid sinus which open in sphenoethmoidal recess/.Table These occupy the body ofthe sphenoid boneTrue growth of the sin us occu rs at pubertyZ: